Gap junctions comprise of?
1. Catenins
2. Cadherins
3. Connexins
4. Claudin

Correct answer: 3. Connexins

Explanation: Ans. (c) Connexins(Ref: Robbins 9th/pg 11)Communicating junctions (Gap junctions)*Mediate the passage of chemical or electrical signals from one cell to another.*Consists of a dense planar array of 1.5- to 2-nm pores called connexons Q*Formed by hexamers of transmembrane proteins called connexins Q